Digitalis has positive Inotropic effect-by the virtue of its effect on:
1. Na+K+ ATPase pump
2. Na Glucose channels
3. H+K+ ATPase pump
4. Calcium pump

Correct answer: 1. Na+K+ ATPase pump

Explanation: Ref:KDT 6/e p496 Digitalis is used clinically because it exerts a positive inotropic effect and because it slows transmission in the AV node in patients with supraventricular tachyarrhythmias. The positive inotropic effect is due to inhibition of the sodium/potassium pump at the outer cell membrane.